Nosocomial infections are diagnosed after how many hours of hospitalization / admission?
1. 24 hours
2. 48 hours
3. 72 hours
4. 96 hours

Correct answer: 2. 48 hours

Explanation: Nosocomial infections Defined as those infections occurring within 48 hours of hospital admission, 3 days of discharge or 30 days of an operation. Gram-positive bacteria are the commonest cause of nosocomial infections withStaphylococcus aureusbeing the predominant pathogen. Hospital-acquired pneumonia-Defined as pneumonia that occurs 48 hours or more after admission and did not appear to be incubating at the time of admission. Ventilator-associated pneumonia-Defined as pneumonia that develops more than 48 to 72 hours after endotracheal intubation.